The threshold limit value of mercury exposures is:
1. 0.01 mg / m3
2. 0.05 mg/ m3
3. 0.1 mg /m3
4. 0.001 mg /m3

Correct answer: 2. 0.05 mg/ m3